Liver is divided into
1. 8 Couinaud segments
2. 7 Couinaud segments
3. 9 Couinaud segments
4. 10 Couinaud segments

Correct answer: 1. 8 Couinaud segments